Following drugs are useful in hepatorenal syndrome except
1. Octreotide
2. Midodrine
3. Intravenous albumin
4. Alpha blockers

Correct answer: 4. Alpha blockers

Explanation: The hepatorenal syndrome (HRS) is a form of functional renal failure without renal pathology that occurs in about 10% of patients with advanced cirrhosis or acute liver failure. There are marked disturbances in the arterial renal circulation in patients with HRS. The cause is poorly understood. Treatment has, unfortunately, been difficult, and in the past, dopamine or prostaglandin analogs were used as renal vasodilating medications. Carefully performed studies have failed to show clear-cut benefit from these therapeutic approaches. Currently, patients are treated with midodrine, an a-agonist, along with octreotide and intravenous albumin. The best therapy for HRS is liver transplantationRef: Harrison; 19th edition; Page no: 2066